Mature defence mechanism is-
1. Sublimation
2. Denial
3. Projection
4. Distortion

Correct answer: 1. Sublimation

Explanation: Ans. is 'a' i.e., Sublimation Defence mechanismo Narcissistic (Psychotic) :- Denial, disortion, projection.o Immature :- Blocking, introjection, passive-aggressive behavior, acting out, hypochondriasis, regression, schizoid fantasy, somatization.o Neurotic :- Controlling, Displacement, inhibition, extemalization, intellectualization, isolation, rationalization, dissociation, reaction formation, repression, sexualization, conversion, undoing, inhibition,o Mature :- Asceticism, suppression, altruism, sublimation, humor, anticipation.